Surgical excision of parotid gland endangers which of the following structures:
1. Hypoglossal nerve
2. Motor nerve of the muscles of mastication
3. External carotid artery, auriculotemporal nerve, facial nerve
4. Lesser occipital nerve and spinal accessory nerve

Correct answer: 3. External carotid artery, auriculotemporal nerve, facial nerve